Mycobacterium tuberculosis is said to be Multi - drug resistant if it is resistant to:
1. Isoniazid alone
2. Rifampicin Alone
3. Both Isoniazid and Rifampicin
4. Isoniazid, Rifampicin, Ethambutol

Correct answer: 3. Both Isoniazid and Rifampicin

Explanation: Ans. C. Both Isoniazid and RifampicinM tuberculosis is said to be multidrug resistant if it is resistant to Rifampicin and Isoniazid. And it is known as XDR if it is resistant to Rifampicin, Isoniazid, Fluoroquinolone and one of the three injectable drugs (Amikacin, kanamycin and capreomycin)